In uraemic amaurosis the pupils are:
1. Constricted
2. Dilated and don't react to light
3. Normal
4. Dilated but react to light

Correct answer: 4. Dilated but react to light

Explanation: Ans. Dilated but react to light